The Portal vein is formed:
1. By the superior mesenteric vein
2. By the splenic vein
3. At the level of 2nd lumbar vertebra
4. All of the above

Correct answer: 4. All of the above

Explanation: All of the above